Treatment of choice for OCD is:
1. Behavior therapy
2. Drug therapy
3. Psychosurgery
4. Combination of behavior and drug therapy

Correct answer: 4. Combination of behavior and drug therapy

Explanation: A combination of pharmacotherapy and psychotherapy has the best evidence in the management of OCD.